All of the following substances can cause seizures except
1. Quinolones
2. Tramadol
3. Chloroquine
4. Lamotrigine

Correct answer: 4. Lamotrigine

Explanation: Lamotrigine is antiepilepticDrugs and Other Substances That Can Cause SeizuresAlkylating agents (e.g., busulfan, chlorambucil)Antimalarials (chloroquine, mefloquine)Antimicrobials/antiviralsb-lactam and related compoundsQuinolonesAcyclovirIsoniazidGanciclovirAnesthetics and analgesicsMeperidineFentanylTramadolLocal anestheticsDietary supplementsEphedra (ma huang)GingkoImmunomodulatory drugsCyclosporineOKT3 (monoclonal antibodies to T cells)TacrolimusInterferonsPsychotropicsAntidepressants (e.g., bupropion)Antipsychotics (e.g., clozapine)LithiumRadiographic contrast agentsDrug withdrawalAlcoholBaclofenBarbiturates (short-acting)Benzodiazepines (short-acting)ZolpidemDrugs of abuseAmphetamineCocainePhencyclidineMethylphenidateFlumazenilRef: Harrison 19e 2547